Rome II criteria are used for
1. Irritable bowel syndrome
2. Inflammatory bowel disease
3. Gastrointestinal tumours
4. Neuroendocrine tumours

Correct answer: 1. Irritable bowel syndrome

Explanation: Rome II criteria for the diagnosis of Irritable Bowel SyndromeRecurrent abdominal pain or discomfort at least 3 days per month in the last 3 months associated with two or more of the following:Improvement with defecationOnset associated with a change in frequency of stoolOnset associated with a change in form (appearance) of stoolRef: Harrison 19e pg: 1965